A 8-year-old male had non-blanching rashes over the shin and swelling of the knee joint with haematuria +++ and protein +. Microscopic analysis of his renal biopsy specimen is most likely to show –
1. Tubular necrosis
2. Visceral podocyte fusion
3. Mesangial deposits of IgA
4. Basement membrane thickening

Correct answer: 3. Mesangial deposits of IgA

Explanation: This child has →

i) Rash             
ii) Arthritis (swelling of knee joint)                       
iii) Haematuria

All these suggest the diagnosis of Henoch Schonlein purpura
HSP is characterized by deposition of IgA in the mesangium.